Most common cause of postoperative renal failure:
1. Decreased renal perfusion
2. Toxicity of anesthetic drugs
3. Toxicity of antibiotics
4. None of the above

Correct answer: 1. Decreased renal perfusion

Explanation: Decreased renal perfusion Postoperative renal failure results from many etiologies how more than 90% cases fo postoperative renal failure are due to hypovolemia and inadequate perfusion. Most common cause of postoperative renal failure is decreased renal perfusion due to hypovolemia. Hypovolemia usually results from inadequate intraoperative fluid replacement, continuing fluid sequestration by tissues (third spacing) or wound drainage or postoperative bleeding